Filigree burns seen in
1. Lightening
2. Electrocution
3. Vitriolage
4. Infanticide

Correct answer: 1. Lightening

Explanation: Ans. is 'a' i.e., Lightening Lightening burns* Lightening refers to discharge of current between a negatively charged cloud and positively charged article on earth. During lightening, injuries result due to following mechanismsi) Direct effect of high voltage current.ii) Heat, i.e. super heated air causing burns.iii) Expanded and displaced air, which acts as a blast wave.iv) Sledge hammer blow by compressed air pushed before the current (sledge hammer effect and blow death).* The characteristic finding in lightening burns is filigree burns/arborescent burns/arborescent marking/ litchenberg flower. In this burns are seen as coloured branching patterns, especially on shoulder and flanks. This branching distribution like inverted tree, does not correspond to blood vessels.